ChIP is used for :
1. Protein DNA interactions and histone modifications
2. Study of aneuploidy
3. Amplify DNA
4. Movement of proteins

Correct answer: 1. Protein DNA interactions and histone modifications

Explanation: ChIP is Chromatin Immuno Precipitation. It detects interactions between DNA & proteins and histone modifications. ChIP assays are combined with sequencing. It can be used to map global binding sites precisely for any protein of interest like transcription factors. Applications include genotyping, clinical genetic testing, forensic analysis, cancer mutations and genetic linkage analysis. It is not used for detection of aneuploidy (monosomy/trisomy)- FISH is the method of choice for detecting aneuploidy. ChIP and Chip are both different Chip is known as Microarray or Bioarray or Gene Array